Hutchisons traid is seen -
1. Primary syphilis
2. Congenital syphilis
3. Secondary syphilis
4. Tertiary syphilis

Correct answer: 2. Congenital syphilis

Explanation: Ans. is 'b' i.e., Congenital syphilis o Hutchinson's triad is a common pattern of presentation of Congenital syphilia. o It consists of three phenomena -----> 1. Interstitial keratitis, 2. Hutchinson incisor 3. Eight nerve deafness